Which cranial nerves affected in Moebius syndrome?
1. 5, 6 CN
2. 5, 7 CN
3. 6, 7 CN
4. 6, 9 CN

Correct answer: 3. 6, 7 CN

Explanation: Moebius syndrome - Rare neurological disorder, congenital oculofacial paralysis Congenital defect - paralysis of 6th and 7th CN Mask like face - expressionless Unable to close eyes- corneal ulceration Strabismus